Involution forms are seen in
1. Lag phise
2. Log phase
3. Stationary phase
4. Phase of decline

Correct answer: 4. Phase of decline

Explanation: Involution forms - phase of decline.
Sporulation - stationary phase.